Velpeau bandage and Sling and Swathe splint are used in?
1. Shoulder dislocation
2. Fracture scapula
3. Acromioclavicular dislocation
4. Fracture clavicle

Correct answer: 1. Shoulder dislocation

Explanation: Velpeau bandage,Sling and Swathe splint are used in: Shoulder dislocation to maintain the reduction. REF : MAHESWARI 9TH ED